Attempt to throw acid on any person with the intention of causing damage can be punished by
1. 320 IPC
2. 326 IPC
3. 326 (A) IPC
4. 326 (B) IPC

Correct answer: 4. 326 (B) IPC

Explanation: Section 326 Voluntarily causing grievous hurt by dangerous weapons or means Imprisonment for Life or 10 Years + Fine Section 326 A Voluntarily causing grievous hurt by the use of acid, etc. 10 years to Life + Fine paid to the victim Section 326 B Voluntarily throwing or attempting to throw acid 5 to 7 years + Fine Ref: Krishnan vij Textbook of Forensic Medicine and Toxicology; 5th ed; Page no: 197